Acute humoral renal transplant rejection is characterized by the following except
1. Presence of anti-donor antibodies
2. Interstitial & tubular mononuclear cell infiltrate
3. Necrotizing vasculitis
4. Acute cortical necrosis

Correct answer: 2. Interstitial & tubular mononuclear cell infiltrate